Comment on the breathing pattern of a patient with prolonged inspiratory spasms that resemble breath holding?
1. Biot breathing
2. Apneustic breathing
3. Cheyne stokes breathing
4. Kussmaul breathing

Correct answer: 2. Apneustic breathing

Explanation: Ans. B Apneustic breathingRef: Ganong: 25th ed. Page 656Prolonged inspiratory spasm that resemble breath holding is called apneusis. It occurs in case of damage to pneumotaxic centre with cut vagi.